For a client in hepatic coma, which outcome would be the most appropriate?
1. The client is oriented to time, place, and person.
2. The client exhibits no ecchymotic areas.
3. \ The client increases oral intake to 2,000 calories/day.
4. The client exhibits increased serum albumin level.

Correct answer: 1. The client is oriented to time, place, and person.

Explanation: Hepatic coma is the most advanced stage of hepatic encephalopathy. As hepatic coma resolves, improvement in the client’s level of consciousness occurs. The client should be able to express orientation to time, place, and person. 
Ecchymotic areas are related to decreased synthesis of clotting factors. Although oral intake may be related to the level of consciousness, it is more closely related to anorexia. 
The serum albumin level reflects hepatic synthetic ability, not level of consciousness.